Post - menopausal bleeding is associated with all except:
1. Ca cervix
2. CIN
3. Ca ovary
4. Endometrial Ca

Correct answer: 2. CIN